For which of the following venous abnormality is surgery indicated -a) Deep vein incompetence with DVTb) Deep vein incompetence without DVTc) Varicosity > 3 mm in diameterd) Varicosity < 3 mm in diametere) Saphenofemoral incompetence
1. bce
2. bc
3. acd
4. ace

Correct answer: 1. bce